Declaration of Helsinki is about
1. Physician's oath
2. Human experimentation
3. Torture
4. Organ transplantation

Correct answer: 2. Human experimentation

Explanation: The Declaration of Helsinki(1975):- concerning human experimentation and clinical trials. DECLARATION OF TOKYO, 1975 The World Medical Association adopted the following guidelines for medical doctors concerning Torture and other Cruel, Inhuman or Degrading Treatment or Punishment in relation to Detention and Imprisonment. The Declaration of Oslo (1970 & 1983), concerning therapeutic abortion. Declaration of Geneva:- The general principles mentioned in the Hippocratic Oath have been brought up-to-date by the World Medical Association. The modernised version of the Hippocratic Oath are the Declaration of Geneva. Ref:- k s narayan reddy; pg num:-26,647